38 weeks primi in early labour with transverse presentation, TOC is :
1. Allow for cervical dilatation
2. Internal podalic version
3. LSCS
4. Forceps

Correct answer: 3. LSCS

Explanation: Ans. is c i.e. LSCS